Herbert's pit is seen in:
1. Vernal conjunctivitis
2. Atopic conjunctivitis
3. Gonococcal conjunctivitis
4. Chlamydial conjunctivitis

Correct answer: 4. Chlamydial conjunctivitis

Explanation: Ans. D: Chlamydial conjunctivitis Later structural changes of trachoma are referred to as "cicatricial trachoma". These include scarring in the eye lid (tarsal conjunctiva) that leads to distortion of the eye lid with buckling of the lid (tarsus) so the lashes rub on the eye (trichiasis). These lashes will lead to corneal opacities and scarring and then to blindness. Linear scar present in the sulcus subtarsalis is called Arles line (named after Carl Ferdinand von Arlt). In addition, blood vessels and scar tissue can invade the upper cornea (pannus). Resolved limbal follicles may leave small gaps in pannus (Herbert's Pits).